The anatomical location of Reinke's space of larynx is in:
1. False vocal cord
2. True vocal cord
3. Prelaryngeal space
4. Retropharyngeal space

Correct answer: 2. True vocal cord

Explanation: Under the epithelium of vocal cords is a potential space with scanty subepithelial connective tissues. It is known as Reinke's space. It is bounded above and below by the arcuate lines; in front, by anterior commissure, and behind by vocal process of arytenoid. Oedema of this space causes fusiform swelling of the membranous cords (Reinke's oedema).